Treatment of neurogenic diabetes insipidus is?
1. Vasopressin
2. Desmopressin
3. Terlipressin
4. Amiodarone

Correct answer: 2. Desmopressin

Explanation: ANSWER: (B) DesmopressinREF: Harrison s Internal Medicine 17th ed chapter 334The signs and symptoms of uncomplicated pituitary DI can be eliminated completely by treatment with Desmopressin (DDAVP), a synthetic analogue of AVP. It acts selectively at V2 receptors to increase urine concentration and decrease urine flow in a dose-dependent manner. It is also more resistant to degradation than AVP and has a three-to four fold longer duration of action. Desmopressin (DDAVP) can be given by IV or SC injection, nasal inhalation, or oral tablet.